Which of the following conditions poses the greatest risk for development of pre-eclampsia?
1. Chronic glomerulonephritis
2. Polycystic kidney disease
3. Renal artery stenosis
4. Polyarteritis nodosa

Correct answer: 4. Polyarteritis nodosa

Explanation: The risk of developing pre-eclampsia is only mild in chronic glomerulo nephritis and polycystic kidney disease. The risk is mild to moderate in Renal artery stenosis and severe in Polyarteritis nodosa. Ref: Karla Philip, 3rd Edition, Page 302.